Metal fume fever is related with
1. Mercury
2. Lead
3. Zinc
4. Arsenic intoxication

Correct answer: 3. Zinc

Explanation: Metal fume fever is an acute febrile illness associated with the inhalation of respirable particles of zinc oxide.